Henle's and Huxley's layer are histologically seen in -
1. Bulb of hair follicle
2. Tongue
3. Salivary gland
4. Sweat gland.

Correct answer: 1. Bulb of hair follicle

Explanation: Bulb of hair follicle has following layers


Fibrous connective tissue
External root sheath
Internal root sheath composed of epithelium stratum (Henle's layer) and granular stratum (Huxley's layer)
Cuticle, cortex and medulla of hair